Bivalent HPV vaccine contains which types ?
1. Type 6,11
2. Type 6,16
3. Type 16,18
4. Type 11,18

Correct answer: 3. Type 16,18

Explanation: Ans. is 'c' i.e., Type 16,18 Human papillomavirus (HPV) vaccine HPV is one of the most important risk factor for cervical cancer, widespread vaccination has the potential to reduce cervical cancer deaths around the world by as much as two thirds, if all women were to take the vaccine and if protection turns out to be long term. In addition, the vaccine can reduce the need for medical care, biopsies and invasive procedures associated with the follow up from abnormal pap tests. Thus, helping to reduce the health care costs and anxieties related to abnormal pap tests and follow up procedures. HPV vaccines are ? 1) Preventive vaccines The role of HPV vaccine is to prevent infection with certain species of Human papillomavirus associated with the development of cervical cancer, genital warts and some less common type of cancers. These vaccines are based on virus like particles (VLPs) assembled from recombinant HPV coat proteins (major capsid protein L1). Currently, one quadrivalent product containing HPV types 6,11,16 and 18 has been licenced in US and recommended by the centres for disease control and prevention for administration to girls and young women 9-26 years of age -- type 16 and 18 are most important as they cause 70% of cervical cancer world wide. Another product contains HPV types 16 and 18 ( bivalent) and is likely to be available in the near future. 2) Therapeutic vaccines (under trial) In addition to above two preventive vaccines, laboratory research and several human clinical trials are focused on the development of therapetic HPV vaccines. In general these vaccines focus on the main HPV oncogenes, E6 and E7. Since expression of E6 and E7 is required for promoting the growth of cervical cancer cells and cells within warts, it is hoped that immune responses against two oncogenes might eradicate established tumors.